Von Rosen splint is used for
1. CONGENITAL DISPLACEMENT OF HIP
2. CTEV
3. Fracture of shaft of femur
4. Paralytic poliomyelitis

Correct answer: 1. CONGENITAL DISPLACEMENT OF HIP

Explanation: * In 1962 Von Rosen reported his use of a special splint in the congenital hip dislocation. * It is passive restraining Or positioning device being adjustable in both abduction and flexion. * made up of malleable aluminum frame which can be molded around shoulder, thighs & waist. * Today the orthosis is made up of malleable plastic with one frame for the shoulders, waist, and thighs. * It has very low rate of AVN but high rate of pressure ulcers . REF :MAHESWARI 9TH ED